Drug of choice for Prophylaxis against Diphtheria is
1. Ciprofloxacin
2. Amoxycillin
3. Erythromycin
4. Cotrimoxazole

Correct answer: 3. Erythromycin

Explanation: Control of Diphtheria Prophylaxis of Diphtheria Erythromycin Non-immunized contacts Prophylactic Penicillin/Erythromycin + 1000-2000 units antitoxin + active immunization DOC for carriers Erythromycin DOC for cases Penicillin/Erythromycin (given along with anti-toxin)